Dohle bodies -
1. Dilated Endoplasmic Reticulum in Neutrophils
2. Mitochondria
3. Golgi apparatus
4. Lysosomes

Correct answer: 1. Dilated Endoplasmic Reticulum in Neutrophils

Explanation: Dohle bodies are patches of dilated endoplasmic reticulum that appear as sky blue cytoplasmic puddles. Ref :Robbins pathologic basis of disease ; south east asia edition ;pg:583